Brunner glands are seen in
1. Stomach
2. Duodenum
3. Ileum
4. Appendix

Correct answer: 2. Duodenum

Explanation: INDERBIR SINGH'S TEXTBOOK OF HUMAN HISTOLOGY-PAGE NO:272 The wall of the small intestine is made up of the four layers: mucous,submucous,muscularis and serous.the serous and muscular layers correspond exactly to the general structure of the alimentary canal.the sub mucosa is also typical except in the duodenum,where it contains the glands of brunner